Apolipoprotein B48
1. RNA alternate splicing
2. RNA editing
3. DNA editing
4. RNA inference

Correct answer: 2. RNA editing

Explanation: REF : LIPINCOTT 6TH ED